Malignant otitis externa is caused by
1. Hemophilus influenzae
2. Pseudomonas aeroginosa
3. Streptococcus pyogenes
4. E. coli

Correct answer: 2. Pseudomonas aeroginosa

Explanation: Malignant otitis externa is often caused by difficult to treat bacteria such as Pseudomonas aeruginosa. Only are cases of malignant otitis externa due to S.aureus, Proteus mirabilis and Aspergillus fumigates have been reported.Ref: PL Dhingra, Diseases of Ear, Nose & Throat, 7th edition, pg no. 55